Drug used to counteract Methotrexate toxicity:
1. Mesna
2. Folinic acid
3. Folic acid
4. Vit B12

Correct answer: 2. Folinic acid

Explanation: Folinic acid